Continuous murmur is found in all, EXCEPT:
1. Mitral stenosis with mitral regurgitation
2. Patent ductus arteriosus
3. Rupture of sinus of Valsalva
4. Systemic arteriovenous (AV) fistula

Correct answer: 1. Mitral stenosis with mitral regurgitation

Explanation: Answer is A (Mitral stenosis with Mitral Regurgitation ) Continuous murmur is not associated with mitral stenosis and mitral regurgitation. Patent ductus arteriosus, Rupture of sinus of valsalva and systemic AVfistulas are all associated with continuous murmurs Causes of Continuous Murmur(Hurst) Continuous Murmur caused by Blood flow Continuous murmurs caused by high-to low- pressure shunts Continuous murmurs secondary to localized arterial obstruction * Venous hum Systemic artery to pulmonary artery * Coarctation of the aorta * Mammary souffle - Patient ductus arteriosus * Branch pulmonary stenosis * Hemangioma - Aortopulmonary window * Carotid occlusion * Hyperthyroidism - Truncus arteriosus * Celiac mesenteric occlusion * Acute alcoholic hepatitis - Pulmonary atresia * Renal occlusion * Hyperemia of neoplasm - Anamolous left coronary ft * Femoral occlusion - hepatoma - renal cell carcinoma - Bronchiectasis - Sequestration of the lung * Coronary occlusion - page[ disease Systemic artery to right heart - Ruptured sinus of Valsalva - Coronary artery fistula Left-to-right atrial shunting - Lutembacher syndrome - Mitral atresia plus atrial septal defect Venovenous shunts - Anomalous pulmonary veins - Portosystemic shunts Arteriovenous fistula (systemic or pulmonic)